Which of the following is true about right principal bronchus
1. Short and thin
2. Short and broad
3. Long and broad
4. Long and thin

Correct answer: 2. Short and broad

Explanation: The right main bronchus (or right primary bronchus, or right principal bronchus), wider, shorter, and more vertical in direction than the left, is about 2.5 cm. long, and enters the right lung nearly opposite the fifth thoracic vertebra.
The azygos vein arches over it from behind; and the right pulmonary artery lies at first below and then in front of it